Most common functional neuroendocrine tumor of pancreas?
1. Gastrinoma
2. Somatostatinoma
3. Insulinoma
4. VIPoma

Correct answer: 3. Insulinoma

Explanation: The incidence of Insulinoma is 1-2% whereas the =dente of ZES is given as 0.5-1.5%. Name Biologically active peptide(s) secreted Incidence (new cases /106 population/year) Tumor location Well- established functional pNET syndromes Zollinger- Ellison Syndrome Gastrin 0.5-1.5 Duodenum (70%)* Pancreas (25%) Insulinoma Insulin 1-2 Pancreas (>99%) VIPoma (Verner-Morrison syndrome, pancreatic cholera, WDHA) Vasoactive intestinal peptide 0.05-0.2 Pancreas (99%, adult) other (10%,neural, adrenal, periganglionic) Glucagonoma Glucagon 0.01-0.1 Pancreas (100%) Somatostatinoma Somatostatin Rare Pancreas (55%) Duodenum/jejunum (44%)